8,9 & 10th ribs are attached to 7th rib by which joint
1. Fibrous
2. Synovial
3. 1st cartilagenous
4. 2nd cartilaginous

Correct answer: 2. Synovial

Explanation: Articular surface of the seventh to tenth ribs are flat, permitting up and down gliding movements or bucket-handle movements of lower ribs B D CHAURASIA'S HUMAN ANATOMY UPPER LIMB THORAX, VOLUME -1 SIXTH EDITION Page no:209,201